Trypsin is an activator of all of the following enzymes EXCEPT
1. Chymotrypsinogen
2. Pepsinogen
3. Proelastase
4. Procolipase

Correct answer: 2. Pepsinogen

Explanation: Actions of trypsin: 

Digestion of proteins
Curdling of milk
Once formed, itself converts trypsinogen into trypsin (autocatalytic action)
Conversion of chymotrypsinogen into chymotrypsin
Polycarboxypeptidses into carboxypeptidase.